M.C. fungal infection in febrile neutropenia is -
1. Aspergillus niger
2. Candida
3. Mucormycosis
4. Aspergillus fumigatus

Correct answer: 2. Candida